All of the following cells are present in cerebellum, EXCEPT?
1. Purkinje cells
2. Stellate cells
3. Pyramidal cells
4. Basket cells

Correct answer: 3. Pyramidal cells

Explanation: The pyramidal cells are seen in cerebral cortex. The cortex of the cerebellum consists of only three layers. They are, (1) an outer, molecular layer, (2) a middle, Purkinje layer, and (3) an inner, granular layer. The molecular layer has the least cellular density and consists of two types of neurons, stellate cells and basket cells. The stellate cells have relatively short dendrites and basket cells have more extensive dendritic processes. Purkinje layer is relatively thin but consists of the densely packed cell bodies of the Purkinje cells. These cell bodies are the largest in the cerebellum and, with their unique dendritic trees, are probably the most distinctive cells in the entire CNS. Granular layer consists of the cell bodies of the very densely packed granular cells and Golgi type II cells.